Least affected organ in arterial thromboembolism is?
1. Liver
2. Kidney
3. Heart
4. Brain

Correct answer: 1. Liver

Explanation: Ans. (a) Liver(Ref: Robbins 9th/pg 127; 8th/pg 126, MD Guidelines- Arterial Embolism and Thrombosis by Presley Reed, MD)Arterial emboli often occur in the legs and feet. Some may occur in the brain, or heart.Less common sites include the Liver, intestines, and eyes